Which of the following promotes rouleaux formation?
1. Zeta potential on RBC membrane
2. Fibrinogen
3. Albumin
4. Biconcave shape of RBC

Correct answer: 2. Fibrinogen

Explanation: When in circulation, the negative charge on the RBC membrane (or zeta potential) does not allow RBCs to clump. When blood is made to stand in a vertical tube, the asymmetric macromolecules in the plasma overcome the zeta potential, so as to form the rouleaux and settling down of the RBC clumps. Fibrinogen and gamma-globulins are the examples of such asymmetric macromolecules. Plasma albumin retards the rouleaux formation. Hence, in nephrotic syndrome, in which the albumin levels fall, there is a rise in ESR.